When prevalence increases, which of the following may be decreased-
1. Incidence
2. Duration
3. Death rate
4. None

Correct answer: 3. Death rate

Explanation: when prevalence of a specific disease increases in a community,death rate is considerably decreased.as prevalence is the product of incdence and duration of the illness.from this equation ,incidence reflects the causal factors whereas duration of illness mainly reflects the prognostic factors. ref:park's textbook,22 nd ed,pg 74